NORWEGIAN APPLIANCE is?
1. Bionator
2. Activator
3. Frankel
4. Twin block

Correct answer: 2. Activator

Explanation: Other names of activator

Norwegian appliance
Functional jaw orthopedics.